Ebstein anomaly is known teratogenic effect due to this drug:
1. Clozapine
2. Phenytoin
3. Lithium
4. Lamotrogine

Correct answer: 3. Lithium

Explanation: (Ref: Katzung, 14th ed. pg. 527)* Lithium is DOC in manic disorder.* DOC for prophylaxis of mania: Lithium* DOC for acute attack of mania: Sedative + Atypical antipsychotics* DOC for mania in pregnancy: Atypical antipsychotics* Side effect of lithium (Mn: LITTH)# L: LEUCOCYTOSIS# I: Insipidus diabetes# T: Tremors (MC side effect- Coarse tremor)# T: Teratogenic (Ebstein anomaly)# H: HypothyroidismTherapeutic Plasma concentration of Lithium* Acute mania: 0.8-1.4mEq/L* Prophylaxis: 0.5-0.8mEq/L* Toxic plasma cone level:>2mEq/L